Tensile strength of wound becomes normal after
1. 6 weeks
2. Never
3. 4 months
4. 6 months

Correct answer: 2. Never

Explanation: Scar will continue to mature for one to two years. The maturation of collagen(TYPE III to TYPE I) leads to increase in tensile strength in the wound which is maximal at 12th week post injury and represents approximately 80% of uninjured skin strength. Bailey and Love 27th edition Pg: 25